Wimberger's ring is seen in:
1. Rickets
2. Scurvy
3. Hemophilia
4. Pellagra

Correct answer: 2. Scurvy

Explanation: Ans. B: Scurvy Radiological signs of scurvy: The epiphyses and periosteum also become easily detachable because of hemorrhage below the periosteum. Separation of the metaphyseal plate from the diaphysis, epiphyseal clefts, and malalignment of the metaphysis may also occur. A circular, opaque radiologic shadow often surrounds epiphyseal centers of ossification. This ring of increased opacity formed around the ossification center of long bone epiphyses is known as the Wimberger sign, which may result from bleeding or attachment movement.